Non arcon instruments gained considerable popularity in complete denture prosthodontics because upper and lower members are
1. Loosely attached
2. Rigidly attached
3. Medially attached
4. Inferiorly attached

Correct answer: 2. Rigidly attached